Fundus of gall bladder at which vertebral level
1. L1
2. L3
3. S1
4. S3

Correct answer: 1. L1

Explanation: Transpyloric plane at L1 passes through many important structures End of spinal cord fundus of gall bladder Ist part of duodenum neck of pancreas hilum of kidney (right and left) Origin of superior mesenteric artery ref - researchgate.net